At Tm or melting temperature, what percentage of dsDNA is denatured?
1. 25%
2. 50%
3. 75%
4. 100%

Correct answer: 2. 50%

Explanation: Melting temperature or Tm Temperature when half (50%) of the helical structure is denatured. At lower temperature, the melted strands are re-associated; this is called annealing. When DNA is denatured, unstacking of bases occur resulting in increased absorbance at 260 nm-hyperchromicity